Polycythemia is not caused by -
1. Renal carcinoma
2. Liver carcinoma
3. Cerebellar hemangioma
4. Lung carcinoma

Correct answer: 4. Lung carcinoma

Explanation: TEXT BOOK OF PATHOLOGY HARSHMOHAN 6TH EDITION PG NO: 231 Paraneoplastic syndromes (PNS) are a group of conditions developing in patients with advanced cancer which are neither explained by direct and distant spread of the tumour, nor by the usual hormone elaboration by the tissue of origin of the tumour. About 10 to 15% of the patients with advanced cancer develop one or more of the syndromes included in the PNS. Rarely, PNS may be the earliest manifestation of a latent cancer. Polycythemia is not seen in lung carcinoma.